Infected endocarditis is commonly seen with all the following except
1. Small VSD
2. Tetralogy of fallot
3. PDA
4. ASD

Correct answer: 4. ASD

Explanation: Infective endocarditis is an infection of the inner surface of the heart, usually the valves. Osler's nodes ("ephemeral spots of a painful nodular erythema, chiefly in the skin of the hands and feet"), Roth's spots on the retina, positive serum rheumatoid factor Other signs may include night sweats, rigors, anemia, spleen enlargement Damaged valves and endocardium contribute to the development of infective endocarditis.Specifically, the damaged part of a heart valve forms a local blood clot, a condition known as non-bacterial thrombotic endocarditis (NBTE). The platelet and fibrin deposits that form as part of the blood clotting process allow bacteria to take hold and form vegetations. As previously mentioned, the body has no direct methods of combating valvular vegetations because the valves do not have a dedicated blood supply. This combination of damaged valves, bacterial growth, and lack of a strong immune response results in infective endocarditis. Damage to the valves and endocardium can be caused by: Altered, turbulent blood flow. The areas that fibrose, clot, or roughen as a result of this altered flow are known as jet lesions. Altered blood flow is more likely in high pressure areas, so ventricular septal defects or patent ductus arteriosus can create more susceptibility than atrial septal defects. Catheters, electrodes, and other intracardiac prosthetic devices. Solid particles from repeated intravenous injections. Chronic inflammation. Examples include auto-immune mechanisms and degenerative valvular lesions. The risk factors for infective endocarditis provide a more extensive list of conditions that can damage the heart. Infective endocarditis (IE) can be the first presentation of a silent patent ductus arteriosus (PDA). PDA IE vegetations usually accumulate at the pulmonary end of the PDA and shower septic emboli to the lungs Infective endocarditis is a rare occurrence in the main pulmonary artery trunk and even rarer in tetralogy of Fallot. Tetralogy of Fallot (TOF) is the most common congenital heart disease with survival to adulthood Infective endocarditis can occur in healthy people or in those with a preexisting heart disease.ENT examination also showed pseudomembranous anginas associated with poor oral health status. IE associated with VSD are the most frequent IEs among patients with congenital heart disease Ref Davidson edition23rd pg 536